False about Adie's Tonic Pupil
1. Unilateral
2. Light reflex present
3. Accomodation reflex slow
4. May be associated with absent knee jerk

Correct answer: 2. Light reflex present

Explanation: Reaction to light is absent.